The femoral hernia - Base of the sac lies at (Saphenous opening - Landmark). Related to pubic tubercle
1. Below and lateral
2. Below and medial
3. Above and lateral
4. Above and medial

Correct answer: 1. Below and lateral

Explanation: Ans. (a) Below and LateralRef: Bailey and Love 27th edition Page 1035* Hernia appears below and lateral to Pubic tubercle and lies in upper leg rather than lower abdomen.* Please note Femoral hernia is seen below the inguinal ligament.